Which among the following is not a feature of peripheral arterial occlusion -
1. Shock
2. Pallor
3. Pain
4. Pulselessness

Correct answer: 1. Shock

Explanation: Symptoms and signs of peripheral arterial occlusion are classically remembered by 5 Ps.


Pain
Pallor
Pulselessness
Paralysis &
Paraesthesia (actually it is anaesthesia, complete loss of sensation)


Some add a sixth 'P' - 'poikilothermia' or 'perishing cold'
MC presenting symptom of acute arterial occlusion → Pain (Schwartz Pretest)